Earliest sign of increased ICT is?
1. Erosion of dorsum sella
2. Pineal displacement
3. Widening of sella
4. Copper beaten appearance

Correct answer: 1. Erosion of dorsum sella

Explanation: Erosion of dorsum sella REF: Sutton 7th edition volume 2 page 1626 SIGNS OF RAISED INTRA CRANIAL TENSION: Suture diastasis: first and most important sign in children, Not seen in adults Sellar erosion: First sign in adults Pineal displacement: more in adults Copper/silver beaten appearance: Gyri make prominent markings on the skull (Increased convolutional marking), Also seen in craniostosis, so not much diagnostic